Testementary capacity refers to -
1. Ability to make a valid will
2. Criminal liability
3. Right to vote
4. Ability to give evidence

Correct answer: 1. Ability to make a valid will

Explanation: Testamentary capacity is defined as the capacity of a person to make a valid will.